Not a feature of paradoxical sleep is -
1. Decreased muscle tone
2. Rapid eye movements
3. Brain shows increased metabolism
4. EEG shows decreased activity

Correct answer: 4. EEG shows decreased activity

Explanation: EEG show increased activity during REM sleep and high-amplitude slow waves are replaced by rapid, low-voltage rhythm (β-wave).
Other EEG findings are :- Reappearance of alpha wave, saw-tooth wave, ponto-geniculo-occipital spikes.